Japanese encephalitis vaccine in the routine schedule is as follows
1. First dose at 9-12 months followed by booster at 16-24 months
2. Single dose vaccine
3. Three doses 1 month apart followed by a booster if needed
4. Three doses with the second dose 1 month and 3rd dose 6 months after the first dose

Correct answer: 1. First dose at 9-12 months followed by booster at 16-24 months